All are true about osteoid osteoma except,
1. Is benign bone tumor
2. Painful and is not releived by salicylates
3. Bone scan shows increased uptake in the lesion
4. X-ray shows dense lesion

Correct answer: 2. Painful and is not releived by salicylates

Explanation: Painful and is releived by salicylates.